What is flail chest?
1. Fracture of three or more ribs at 2 or more places
2. Fracture of 2 ribs at three places
3. Ventilator associated pneumonia
4. Transfusion associated lung injury

Correct answer: 1. Fracture of three or more ribs at 2 or more places

Explanation: Ans. (a) Fracture of three or more ribs at 2 or more placesRef: Bailey 26th edition Page 355* Flail chest is defined as three or more ribs fractured in two or more places